Type of collagen found in basement membrane -
1. I
2. II
3. III
4. IV

Correct answer: 4. IV

Explanation: Ans. is 'd' i.e., IV o Type IV collagen with laminin are the major constituent of basement membrane.Type of collagenDistributionType ISkin, tendon, bone, corneaType IIArticular cartilage, intervertebral disc. Vitreous humorType IIIFetal skin, cardiovascular systam, lung, reticular fiberType IVBasement membraneType VPlacenta, skin.